A para 2 poorly compensated cardiac patient has delivered 2 days back. You will advice her to:
1. Undergo sterilization (tubectomy) after 1 week
2. Undergo sterilization after 6 weeks
3. Suggest her husband to undergo vasectomy
4. Take oral contraceptive pills after 6 months

Correct answer: 3. Suggest her husband to undergo vasectomy

Explanation: Contraception in patient of heart disease:
Temporary contraception of choice:

Barrier contraceptives (condoms) but they have high failure rate, so nowadays progesterone only contraceptives like minipills are being advised (Ref Mgt of high risk pregnancy, Manju puri, S Strivedi p376)
Contraception to be avoided:

– OCPs
– Intrauterine devices
Permanent contraception of choice:

Best: Husband should be advised vasectomy especially in patients whose heart is not well-compensated.
If husband refuses or, if heart of the patient is well-compensated-Tubectomy is advised.

Female sterilisation:

Best time: At the end of first post partum week.
Method: Mininlaparotomy (never do laproscopic sterilisation in heart disease patient).
Anaesthesia of choice: Local anaesthesia.